All of the following are criteria for irritable bowel syndrome except -
1. Change in frequency of stool
2. Blood & mucus in stool
3. Change in form ofstool
4. Improves with defecation

Correct answer: 2. Blood & mucus in stool

Explanation: Davidson's principles and practice of medicine 22nd edition. *Romelll criteria. * abdominal pain or discomfort associated with 2 or more of the following # improvement with defecation #change in frequency of stool. #change in appearance of stool